A 42 year old patient comes with testicular swelling along with lymphadenopathy. Which of the following can be done except
1. Testicular biopsy
2. Clinical examination
3. PRE
4. CECT

Correct answer: 1. Testicular biopsy

Explanation: Testicular biopsy is not done because it will convert into T4 disease.